Straining and dribbling of urine in a male infant with recurrent urinary infection should lead to the suspicion of -
1. Vesico-ureteric reflux
2. Posterior urethral valve
3. Pelvic ureteric junction obstruction
4. Phimosis

Correct answer: 2. Posterior urethral valve

Explanation: Ans. is 'b' i.e., Posterior urethral valve The informations provided in this question are ? i) Straining --> Sign of obstruction ii) Driblling --> Sign of obstruction and incomplete bladder emptying. iii) UTI --> May be due to urinary obstruction. o All these suggest the diagnosis of obstructive uropathy, and posterior urethral valve is most common cause of obstructive uropathy.